During ventricular abnormal filling square root sign is seen in -
1. ASD
2. MVPS
3. Dilated cardiomyopathy
4. Constrictive pericarditis

Correct answer: 4. Constrictive pericarditis

Explanation: Dip & plateau pattern' or 'square root sign': Early diastolic filling of the ventricles is unimpeded and abnormally rapid, but late diastolic filling is abbreviated and halts abruptly when total cardiac volume expands to the volume limit set by the stiff pericardium Ref Harrison 20th edition pg 1523